The torus mandibularis is most commonly seen in the region of:
1. Incisor region
2. Canine region
3. Molar region
4. Premolar region

Correct answer: 4. Premolar region